Enzymes concerned with the citric acid cycle are found in the:
1. Nucleus
2. Ribosomes
3. Mitochondria
4. Nonparticulate cytoplasm

Correct answer: 3. Mitochondria